A patient requires mild cholinomimetic stimulation following surgery. Physostigmine and bethanechol in small doses have significantly different effects on which of the following ?
1. Gastric secretion
2. Neuromuscular junction
3. Sweat glands
4. Ureteral tone

Correct answer: 2. Neuromuscular junction